Which of the following is a metabolite of carisoprodol ?
1. Doxylamine
2. Meprobromate
3. Dimethadione
4. Amphetamine

Correct answer: 2. Meprobromate